Feature(s) of Scheibe's syndrome is/are:
1. Semicircular canal fistula
2. Abnormality in bony labyrinth
3. Dysplasia of cochlea
4. Middle ear anaomaly

Correct answer: 3. Dysplasia of cochlea

Explanation: Answer- C. Dysplasia of cochleaIt is most common inner ear anomaly.Dysplasia is seen in the cochlea & saccule; hence also called cochleosaccular dysplasia.It is inherited as an autosomal recessive nonsyndromic trait.